Aseptic meningitis is caused by?
1. Indomethacin
2. Ibuprofen
3. Aspirin
4. Icatibant

Correct answer: 2. Ibuprofen

Explanation: Ans. is 'b' i.e., Ibuprofen Medications Known to cause aseptic meningitis NSAIDsAntimicrobialsImmunomodulating agentsCommonibuprofenTrimethoprim/ sulfamethoxazoleMonoclonal antibody Intravenous IgGUncommonSulindac Naproxen Diclofenac RofecoxibSulfonamidesAzathioprineCauses of Acute Aseptic MeningitisInfectious cases|||BacterialViralo Lyme diseaseo Leptospirosiso Mycobacterium tuberculosis infectiono Subacute bacterial endocarditiso Parameningeal infection (epidural subdural abcess, sinus or ear infection)o Partially treated becterial meningitiso Echovirus infectiono Coxsackie virus infectiono Mumpso Herpes simplex virus type 2 infectiono HIV infectiono Lymphocytic choriomeningitiso Poliovirus infection